Drug causing gynecomastia is
1. Spironolactone
2. Rifampicin
3. Penicillin
4. Bumetanide

Correct answer: 1. Spironolactone

Explanation: Important drugs causing gynaecomastia are: D-Digitalis I-Isoniazid S-Spironolactone C-Cimetidine O-Oestrogens